All of the following are therapeutic uses of prazosin except:
1. Peripheral vascular disease
2. Phaeochromocytoma
3. Lupus Erythematosus
4. Scorpion sting

Correct answer: 3. Lupus Erythematosus

Explanation: Prazosin is a highly selective alpha 1 blocker. It blocks vasoconstriction in peripheral vascular disorders like Raynaud's alpha 1 receptor stimulation- vasoconstriction blockade- vasodilatation Pheochromocytoma is a tumour of adrenal medullary cells that cause excess catecholamine secretion that result in intermittent or persistent hypertension. Scorpion sting causes hypertension that can be treated with prazosin. From essential of medical pharmacology K D Tripathi 7th edition page no 142,143